Which of the following is TRUE of adrenal suppression due to steroid therapy ?
1. It is not associated with atrophy of the adrenal glands
2. It is less likely to occur in patients receiving inhaled steroids
3. It should be expected in anyone receiving >5 mg prednisolone daily
4. Following cessation, the stress response normalizes after 8 weeks

Correct answer: 2. It is less likely to occur in patients receiving inhaled steroids